The thickness of the distobuccal flange must be adjusted to accommodate all of the following except:
1. Ramus
2. Coronoid process.
3. Temporalis
4. Masseter

Correct answer: 3. Temporalis